A 28 years old Male is diagnosed with Lung cancer. Doctor has to explain diagnosis and prognosis to patient and family members. Technique to be used is:-
1. GATHER
2. SPIKES
3. Focus group discussion
4. Lecture

Correct answer: 2. SPIKES

Explanation: S - Set up interview P - Perceptions I - Invitation to explain K - Knowledge E - Emotions S - Summary & strategy SPIKES technique is used to explain the diagnosis/prognosis of Pt. to the family members mainly in case of HIV Pts. & cancer patients GATHER technique: G - Greet - Greet the client. A - Ask - Ask questions effectively in a friendly manner using words that client understands and listen patiently, without being judgmental. T - Tell - Tell the relevant information to help her reach a decision and make an informed choice regarding method of EC and ongoing contraception method. H - Help - Help the client to reach a decision and give other related information E - Explain - Explain about the method in detail including information that it protects against a 'single act', its efficacy, potential side-effects and the need for follow-up in case period is delayed by more than 7 days. R - Return - Return for ongoing contraceptive method is advised and need for follow-up is emphasized if the period is delayed beyond 7 days.